Phage typing is widely usde for the intraspecies classification of one of the following bateria -
1. Staphylococci
2. E. coli
3. Klebsiella pneumoniae
4. Pseudomonas aeruginosa

Correct answer: 1. Staphylococci

Explanation: Phages that lyse all the members of genus salmonella species, Bacillus anthracis, and subspecies classical Vibrio cholera. The most important application of phage typing is for intraspecies typing of bacteria as in the phage typing of S.typhi and staphylococci. REF:ANANTHANARAYAN AND PANIKER'S TEXTBOOK OF MICROBIOLOGY 9TH EDITION PAGE NO:459